In the stomach, H+ ions are secreted in exchgHjjii for
1. Na+
2. K+
3. Gar
4. CT

Correct answer: 2. K+

Explanation: H+ ions are generated inside parietal cells from metabolic CO2 & H2O present in cell in the presence of enzyme carbonic anhydrase. -The enzyme accelerates the formation of H2CO3 which dissociates to release H+ & HCO3-. -The H+ ions generated are then secreted into the lumen of the canaliculi in exchange for K+ by a primary active transport mediated by a H+-K+-AT Pase pump. Ref: Medical Physiology, Indu Khurana